Six penny bruise is seen in ?
1. Manual strangulation
2. Hanging
3. Pedestrian injury
4. Head injury

Correct answer: 1. Manual strangulation

Explanation: Ans. is 'a' i.e., Manual strangulation Six penny bruiseThese are discoid shaped bruises of about 1 cm in diameter resulted from fingertip pressure usually seen in neck region because of manual strangulation. These are called six penny bruise because of resemblance with six penny.